Burkits Lymphoma is caused by:
1. HTLV1
2. HTLV2
3. HiPV
4. EBV

Correct answer: 4. EBV

Explanation: EBV